All of the following are TRUE regarding Panayiotopoulos syndrome, EXCEPT:
1. It includes focal seizures
2. Autonomic symptoms may predominate
3. Seizures may last hours without causing permanent brain damage
4. Lifelong phenobarbitone is usually needed

Correct answer: 4. Lifelong phenobarbitone is usually needed

Explanation: Panayiotopoulos syndrome is a benign focal seizure occurring in early and mid childhood with a peak age of 5 years. It usually occurs at night and may be associated with vomiting, deviation of eyes and impaired consciousness before the seizure starts. Autonomic symptoms may predominate. Seizures may last hours without causing permanent brain damage. Usually remission occurs within 2 years and antiepileptics is not needed. Ref: Oxford Handbook of Clinical specialities, Edition 8, Page - 207